Total bones in the skull are
1. 18
2. 22
3. 28
4. 32

Correct answer: 2. 22

Explanation: The skull consists of the 22 bonesCalvaria or brain case Facial skeleton Unpaired1.Frontal2.Occipital3.Sphenoid4.EthmoidUnpaired1.Mandible2.VomerPaired1.Parietal2.TemporalPaired1.Maxilla 2.Zygomatic 3.Nasal 4.Lacrimal 5.Palatine 6.Inferior nasal conchaReference: Chaurasia; 6th edition; Chapter 1; Osteology of head and neck